1st pharyngeal arch gives rise to all except
1. Medial pterygoids
2. Levator veli palatini
3. Lateral pterygoids
4. Tensor veli palatini

Correct answer: 2. Levator veli palatini

Explanation: All soft palate muscles except tensor veli palatini are derived from the 4th pharyngeal arch and are supplied by vagal plexus. First pharyngeal arch gives rise to : Muscles of mastication (temporalis, masseter, lateral and medial pterygoids) Mylohyoid Anterior belly of digastric Tensor tympani Tensor veli palatini and Anterior 2/3rd of tongue. Ref: Langman's Medical embryology 13th edition PGno: 239